Following is true about furosemide -
1. It is given only by IV route
2. It causes mild diuresis
3. It is used in pulmonary edema
4. Acts on PCT

Correct answer: 3. It is used in pulmonary edema

Explanation: Ans. is 'c' i.e., It is used in pulmonary edema o Intravenous administration of furosemide produces prompt relief in acute pulmonary edema and acute heart failure (Acute LVF). o It is due to vasodilators (venous dilatation) action and not due to diuretic action (in contrast with chronic heart failure, where the symptomatic relieve is due to diuretic action). o IV furosemide causes prompt increase in systemic venous capictance and decreases left ventricular filling pressure (preload) even before the diuretic action becomes apperent. About other options Furosemide can be given i.m. also. It has maximum diuretic action (more than other classes of diuretic). It acts on thick ascending limb of loop of Henle.